Which among the following organism causes pneumatocele in children in association with pneumonia?
1. Streptococcus pneumonia
2. Klebsiella
3. Haemophilus influenzae
4. Staphylococcus aureus

Correct answer: 4. Staphylococcus aureus

Explanation: Staphylococcal pneumonia in infancy is characterized by abdominal distention, high fever, respiratory distress, and toxemia. It may occur without predisposing factors or after minor skin infections. The organism is necrotizing, producing bronchoalveolar destruction. Pneumatoceles, pyopneumothorax, and empyema are frequently encountered. Rapid progression of disease is characteristic. Ref: Ogle J.W., Anderson M.S. (2012). Chapter 42. Infections: Bacterial & Spirochetal. In W.W. Hay, Jr., M.J. Levin, R.R. Deterding, J.J. Ross, J.M. Sondheimer (Eds), CURRENT Diagnosis & Treatment: Pediatrics, 21e.